Which of following is the most common cause of hypergonadotrophichypogonadism in nuk>>-
1. Viral orchitis
2. Klinefelter's syndrome
3. Kallman's syndrome
4. Noonan syndrome

Correct answer: 2. Klinefelter's syndrome

Explanation: Ans is option 2.. Klinefelter's syndrome Hypogonadism occurs if the hypothalamic pituitary axis is interrupted at any level. Hypergonadotrophic Hypogonadism occurs due to low testosterone and increased LH and FSH Most common cause of Hypergonadotrophic Hypogonadism in males is Klinefelter's syndrome In females turner syndrome Ref Harrison 17 /e p 2316 2317